Which of the following is not a glycogen storage disorder -
1. Lesch Nyhan syndrome
2. Me Ardle's disease
3. Pompe's disease
4. Von-Gierke's disease

Correct answer: 1. Lesch Nyhan syndrome

Explanation: Ans. is 'a' i.e., Lesch Nyhan syndrome